Tumor marker relevant with ovarian carcinoma is:
1. CA-125
2. CA-19.9
3. CD-30
4. CD-25

Correct answer: 1. CA-125

Explanation: Answer is A (CA 125) : Manual of Clinical Surgery by Kirk CA 125 is the most commonly used tumor marker for ovarian cancer - Kirk CA-125 is found in derivatives of Coelomic epithelium, including pleura pericardium and peritoneum but is not detected in normal ovarian tissue.